All are exempted from oral testimony EXCEPT:
1. Oying declaration
2. Medical evidence of injury as witness
3. Chemical examination report
4. Evidence of medical expert in lower court

Correct answer: 2. Medical evidence of injury as witness

Explanation: Medical evidence of injury as witness (Oral evidence is more important than documentary evidence as it permits cross-examination. Exceptions to oral evidence i.e. where documentary evidence is sufficient for a court of law (the person providing that document need not appear in the court for giving oral evidence)- (1) Dying declaration, (2) Expert opinion given in a book or treatise, (3) Evidence of doctor recorded in a lower court, (4) Evidence by witness in a previous judicial proceeding, (5) Evidence of mint officers, (6) Report of Chemical Examiner, Explosives Expert, Fingerprint Expert, Serologist, etc, (7) Public records like birth & death certificate, (8) Hospital records.)